Resorbability of the roots of primary dentition is explained by
1. Genetically determined
2. Pressure applied by successors
3. Both 1 and 2
4. None

Correct answer: 3. Both 1 and 2

Explanation: Resorbability of the roots depends on both the above factors.
If there is no successor of primary tooth then it function as a permanent tooth and its root does nor resorb which indicates that its dependency on pressure applied by successor. It also depends on the genetic factors.